Superficial perineal muscles include-
1. Iliococcygeus
2. Ischiococcygeus
3. Bulbospongiosus
4. Levator ani

Correct answer: 3. Bulbospongiosus

Explanation: Muscles in superficial perineal space.
-        Ischiocavernosus
-        Bulbospongiosus
-        Superficial transverse perinei